Which of the following condition is associated with decreased total iron binding capacity ?
1. Iron deficiency
2. Thalassemia
3. Sideroblastic anemia
4. Anemia of chronic inflammation

Correct answer: 4. Anemia of chronic inflammation

Explanation: TIBC increases in iron deficiency, Normal in Thalassemia and Sideroblastic anemia, and low normal or decreased in anemia of chronic inflammation. Reference: Harrisons Principles of Internal Medicine, 18th Edition, Page 848